True about Dressler'syndrome is all, except -
1. Occurs within hours after myocardial infarction
2. May be due to early use of anticoagulant
3. Chest pain is common
4. Responds well to salicylates

Correct answer: 1. Occurs within hours after myocardial infarction